Howel-Jolly bodies may be seen after ?
1. Hepatectomy
2. Splenectomy
3. Pancreatectomy
4. Cholecystectomy

Correct answer: 2. Splenectomy

Explanation: Ans:B.) Splenectomy Howell-Jolly bodies They are histopathological findings of basophilic nuclear remnants (clusters of DNA) in circulating erythrocytes. Howell-Jolly bodies are seen with markedly decreased splenic function. Common causes include asplenia (post-splenectomy)or congenital absence of spleen. Other causes are radiation therapy involving the spleen, such as that used to treat Hodgkin lymphoma. Howell-Jolly bodies are also seen in: amyloidosis, severe hemolytic anemia, megaloblastic anemia, hereditary spherocytosis, heterotaxy with asplenia and myelodysplastic syndrome.